Which one of the following is NOT used in glaucoma
1. Timolol
2. Physostigmine
3. Donepezil
4. Dipivefrine

Correct answer: 3. Donepezil

Explanation: C i.e. Donepezil Mydriatic drugs such as atropineQ, cyclopentolate, phenylephrine and tropicamide precipitate angle closure glaucoma; and so are not used in treatment of glaucoma. Donepezil is a centrally acting anticholinesterase (cholinergic) drug used in Alzheitner's dementia.